A tool for increasing consensus among a large no. of people is
1. Delphi method
2. Chalk and talk (lecture)
3. Television
4. Interpersonal communication (IPC)

Correct answer: 1. Delphi method